All of the following are temporary social groups except:
1. Crowd
2. Mob
3. Herd
4. Band

Correct answer: 4. Band

Explanation: TEMPORARY SOCIAL GROUPS (1) The Crowd : When a group of people come together temporarily, for a short period, motivated by a common interest or curiosity (e.g., to witness a football match), it is known as a crowd. The crowd lacks internal organization and leadership. When the interest is over, the crowd disperses. (2) The Mob : The mob is essentially a crowd, but has a leader who forces the members into action. There may be a symbol in the shape of a flag or slogan. The mob is more emotional than a crowd. Like the crowd, it is unstable and without internal organization. When the purpose of the mob is achieved, the group disperses. (3) The Herd : This is also a crowd with a leader. Here the members of the group have to follow the orders of the leader without question, e.g., the tourist group under a guide. PERMANENT SPATIAL GROUPS (1) The Band: It is the most elementary community of a few families living together. Here the group has organized itself and follows a pattern of life e.g., gypsies in India. (2) The Village : The village is a small collection of people permanently settled down in a locality with their homes and cultural equipments. (3) The Towns and Cities : From a sociological point of view, a city or town may be defined as a relatively large, dense and permanent settlement of socially heterogeneous individuals. (4) The State: The state is an ecological social group * based on territory. It is more stabilized andformalized. It is heterogeneous in nature. The Indian Union is a large State.